Structures preserved in functional neck dissection is
1. Carotid artery, Vagus nerve
2. Sternomastoid muscle, Internal Jugular vein
3. Spinal accessory nerve, Submandibular salivary gland
4. Neck nodes

Correct answer: 2. Sternomastoid muscle, Internal Jugular vein

Explanation: Ans. is 'b' i.e., Sternocleidomastoid muscle and Internal jugular vein "In contrast to a radical neck dissection, the internal jugular vein, the spinal accessory nerve, the cervical sensory nerves, and the sternocleidomastoid muscle are preserved unless they are adherent to or invaded by tumor"- Schwartz Classical Radical neck dissection It involves the removal of following structures i) Cervical lymphatics and lymph nodes ii) Internal jugular vein iii) Accessory nerve iv) Submandibular gland v) Sternomastoid muscle The main disability that follows operation is the drooping of the shoulder due to paralysis of the Trapezius muscle as a consequence of excision of accesory nerve. Modified Radical Neck dissection (Functional neck dissection) --> In this operation all the lymphatics and lymph nodes are removed as in radical neck dissection. The difference is that one or more of the following structures are preserved. i) Accessory nerve ii) Sternocleidomastoid muscle iii) Internal jugular vein